Which of the following vasculitis is not seen in adults?
1. Takayasu arteritis
2. Susac syndrome
3. Henoch-Schonlein purpura
4. Kawasaki disease

Correct answer: 4. Kawasaki disease

Explanation: Ans. d. Kawasaki disease